Campbell line is seen in X-ray of following projection
1. Transcranial
2. Transorbital
3. Transpharyngeal
4. Occipitomental

Correct answer: 4. Occipitomental